Posterior belly of digastric is supplied by
1. Facial nerve
2. Mandibular nerve
3. Glossopharyndeal nerve
4. Trochlear nerve

Correct answer: 1. Facial nerve

Explanation: Ans. is `a' i.e., Facial nerve